The threshold value for workers in the mercury industry is:
1. 200 to 400 µg per day
2. 100 to 200 µg per day
3. 350 to 500 µg per day
4. 500 to 700 µg per day

Correct answer: 3. 350 to 500 µg per day

Explanation: The threshold value for workers in the mercury industry is 350 to 500 µg per day. 
Reference: Phillip’s Science of Dental Materials, Pg-361